Vitamin B12 is essential for what aspect of blood cell reproduction;
1. Formation of hemoglobin
2. Extrusion of the nucleus from the normoblasts
3. Formation of DNA
4. Activation of erythropoietin

Correct answer: 3. Formation of DNA

Explanation: Within 6-9 hours of treatment with vitamin B12 formation of nuclear DNA component promotes normoblastic reaction of the bone marrow, Folic acid also promotes the formation of nucleic acids .